ATP is an allosteric regulator of:
1. Hexokinase and PFK 1
2. PFK 1 and PFK 2
3. PFK 1 and Pyruvate kinase
4. Glyceraldehyde 3 phosphate dehydrogenase and PFK 1

Correct answer: 3. PFK 1 and Pyruvate kinase

Explanation: Regulatory Adaptive Enzymes Associated with Carbohydrate Metabolism - Glycogenolysis , Glycolysis , Pyruvate oxidation Allosteric Activator Allosteric inhibitor Glycogen synthase Glucose-6-phosphate Hexokinase Glucose-6-phosphate Phosphofructokinase-1 5' AMP, Fructose-6-phosphate,Fructose 2,6-bisphosphate, Pi Citrate ,ATP Pyruvate kinase Fructose 1,6-bisphosphate ATP ,Alanine Pyruvate dehydrogenase CoA, NAD+, ADP,Pyruvate Acetyl-CoA, NADH,ATP (Fatty acids, Ketone bodies) Gluconeogenesis Allosteric Activator Allosteric inhibitor Pyruvate carboxylase Acetyl CoA ADP The only allosterically activator of enzyme PFK-2 is fructose 6-Phosphate.